The most common ophtalmic lesion in AIDS is -
1. Hard exudates
2. Cotton wool spots
3. Angioid streaks
4. Microaneurysms

Correct answer: 2. Cotton wool spots

Explanation: Ophthalmologic problems occur in ~50% of patients with advanced HIV infection. The most common abnormal findingson funduscopic examination are cotton-wool spots. These are hard white spots that appear on the surface of the retina and often have an irregular edge. They represent areas of retinal ischemia secondary to microvascular disease. At times they are associated with small areas of hemorrhage and thus can be difficult to distinguish from CMV retinitis. In contrast to CMV retinitis, however, these lesions are not associated with visual loss and tend to remain stable or improve over time. (Harrison's Principles of internal medicine, 20 th edition, page 1562)